Brain part resistant to hypoxia is
1. Cerebral cortex
2. Basal ganglia
3. Thalamus
4. Structures in brainstem

Correct answer: 4. Structures in brainstem

Explanation: The brainstem (or brain stem) is the posterior part of the brain, adjoining and structurally continuous with the spinal cord. In the human brain, the brainstem includes the midbrain, the pons, and the medulla oblongata. Sometimes the diencephalon, the caudal part of the forebrain, is included.Ref: Ganong's review of medical physiology 23rd edition Page no: 246